Pain at left shoulder tip in a patient with splenic trauma is known as -
1. Trosseu sign
2. Kehr's sign
3. Cullen sign
4. Rovsing's sign

Correct answer: 2. Kehr's sign

Explanation: Ans. is 'b' i.e., Kehr's signo In splenic rupture the pain may be referred to the tip of the left shoulder.This is known as Kehr's signo It occurs due to irritation of the undersurface of the diaphragm with blood and the pain is referred to the shoulder through the affected fibres of phrenic nerve (C4 and C5).o Kehr's sign can be elicited by bimaual compression of the left upper quadrant after the patient has been in Trendelenburg's position for about 10 minutes prior to the manoeuvre.